Anti trans glutaminase antibodies are seen in
1. Celiac sprue
2. Tropical sprue
3. Crohn's disease
4. Familial adenomatous polyposis

Correct answer: 1. Celiac sprue

Explanation: - Celiac sprue is associated with Anti-tissue transglutaminase Ab Anti-endomysial Ab Anti-gliadin Ab OTHER OPTIONS: - Tropical sprue is infectious disease most commonly caused by E.coli involving complete small intestine resulting in iron, folic acid & vit B12 deficiencies - Crohn's disease is inflammatory bowel disease associated with Anti-Saccharomyces cerevisiae Antibody - Familial adenomatous polyposis is autosomal dominant disorder caused by germline mutation in APC gene resulting in multiple polyps in GI tract.